Which is smooth bored weapon -
1. Rifle
2. Shotgun
3. Revolver
4. Pistal

Correct answer: 2. Shotgun

Explanation: Smooth bored weapons Shotgun, muskets, and muzzle loaders.
Rifled weapons : Rifles, pistols, and revolvers.